Continuous scrutiny of factors that determine the occurrence and distribution of disease and other condition of ill health is the definition of:
1. Monitoring
2. Surveillance
3. Disease control
4. System analysis

Correct answer: 2. Surveillance

Explanation: Ans. (b) SurveillanceALSO REMEMBER* Diseases under International Surveillance :- Louse borne typhus fever- Relapsing fever- Poliomyelitis- Malaria- Human Influenza- Rabies- Salmonellosis* Monitoring versus surveillance:MonitoringSurveillance- Performance and analysis of routine measurements aimed at detecting changes in environment or health status of a population- One Time linear activity- No feedback present- No inbuilt action component present- Stops once disease is eliminated/eradicated- Smaller concept- Continuous scrutiny of the factors that determine the occurrence and distribution of disease and other conditions of ill-health- Continuous Cycle- Feedback present- Inbuilt action component present- Continues even after disease is eliminated/eradicated- Broader concept